Hydroxylation of Proline requires the following except:
1. Fe2+
2. O2
3. Ascorbic Acid
4. Succinate

Correct answer: 4. Succinate

Explanation: Ans. D. SuccinateVitamin C plays an important role as a co enzyme in the hydroxylation of Proline. The reaction is dependent on proline and requires vitamin C, alpha ketoglutarate, molecular O2 and Fe2+